A drug used in LUMINATE programme for non-infectious uveitis is –
1. Cyclosporine
2. Voclosporin
3. Methotrexate
4. Infliximab

Correct answer: 2. Voclosporin

Explanation: Voclosporin is an immunomodulatory drug which inhibits the enzyme calcineurin. The chemical structure of voclosporin is similar to cyclosporine with a difference in one amino acid, leading to superior calcineurin inhibition and less variability in plasma concentration.
The LUMINATE (Lux Uveitis Multicenter Investigation of a New Approach to Treatment) clinical development programme was initiated in 2007 by Lux Biosciences Inc to assess the safety and efficacy of Voclosporin for the treatment, maintenance, and control of all form of non-infectious uveitis.
The aim of the LUMINATE programme was to ensure that voclosporin would become the first Corticosteroid-sparing agent to be approved by the US Food and Drug Administration for non-infectious uveitis.